True statement about soft tissue sarcoma is/are ?
1. Liposarcoma is rare
2. Incisional biopsy is needed when size > 5cm
3. FNAC is diagnostic
4. TNM staging done

Correct answer: 4. TNM staging done

Explanation: Ans. is 'd' i.e. TNM staging done Liposarcoma is the IInd MC soft tissue sarcoma and is the MC type in the retroperitoneum. Incisional biopsy is doen when the size of tumor is > 3 cm and the core-needle biopsy fails. FNAC has a limited role in diagnosing soft tissue sarcoma. (Ref: Sabiston 18/e p790) TNM staging is done. According to the Table of radiosensitivity mentioned previously, soft tissue sarcomas are relatively radioresistant tumors.